Green stick fracture is -
1. Fracture in adults
2. Complete fracture
3. Incomplete fracture
4. Fracture spine

Correct answer: 3. Incomplete fracture

Explanation: Ans. is 'c' i.e., Incomplete fracture o A greenstick fracture is an incomplete transverse fracture pattern seen in children.Green stick fractureo A greenstick fracture is an incomplete transverse fracture pattern seen in children. Greenstick fractures occur when an injuring force applied to a bone exceeds the limits of elasticity of the bone. This results in the bones bending to the point of bony disruption and fracture on the side opposite to the applied force. However, a green- stick fracture is an incomplete fracture, in which the compressed cortex and periosteum remain intact. Greenstick fractures of radius-ulna are common fractures in children and often result from a fall on a outstretched hands.Treatment of greenstick fractureo Greenstick fracture patterns are inherently more stable than a complete fracture after reduction,o As such, they are usually treated with cast immobilization in the appropriate corrective rotation with molding to maintain the interosseous space and a straight ulnar border, i.e. simple closed reduction by reversing the injury mechanism and cast immobilization is the treatment of choice,o The greater mechanical stability of greenstick fractures may result in greater difficulty of reduction wrhen required,o In the case of both-bone forearm fractures for example, a greenstick stick fracture of ulna is association with radius may act as a tether that not only contributes to deformity but may actually act as a block in reduction,o Several authors have advocated 'completion1' of the greenstick fracture to aid in the case of reduction and this approach is acceptable and appropriate when necessary for achieving anatomic reduction,o Completion of an incomplete green-stick fracture for treatment is a controversial issue. Some prefer this approach as reduction is maintained by breaking the other cortex. While other find it un-necessory and they just close reduce the fracture with immobilization.